After death, greenish discoloration in right iliac fossa is seen after -
1. 46 hours
2. 48 to 72 hours
3. 12 to 24 hours
4. 1 week

Correct answer: 3. 12 to 24 hours

Explanation: Greenish color in right iliac fossa is seen after 12 to 24 hours.